Deficiency of arginosuccinate synthase causes-
1. Citrullinemia
2. Hyperargininemia
3. Argininosuccinic aciduria
4. Type I hyperammonemia

Correct answer: 1. Citrullinemia

Explanation: Ans. is 'a' i.e., CitrullinemiaDisorders caused by genetic defects of urea cycle enzymesDisordersDefective enzymeProducts accumulatedHyperammonemia type-ICarbamoyl phosphate synthase-IAmmoniaHyperammonemia type-IIOrnithine transcarbamoylaseAmmoniaCitrullinemiaArgininosuccinate synthaseCitrullineArgininosuccinic aciduriaArgininosuccinate lyaseArgininosuccinateArgininemiaArginaseArginine